Lymphohistocytic variant of Reed Sternberg seen in which subtype of Hodgkin lymphoma:
1. Nodular sclerosis
2. Lymphocyte rich
3. Lymphocyte predominant
4. Lymphocyte depleted

Correct answer: 3. Lymphocyte predominant

Explanation: Ref. Robbins Pathology. 9th edition. Page. 601
Direct picture from Robbins